The 40 nm gap in between the tropocollagen molecule in collagen which serve as the site of bone formation is occupied by which of the following-
1. Carbohydrate
2. Ligand moiety
3. Calcium
4. All

Correct answer: 3. Calcium

Explanation: C i.e. Calcium40 nm gap between the typrocollagen molecues serve as nucleation site for deposition of hydroxyapatite I ca5(p04)3(19H),1 with some phosphate] crystals in boneQ.